Management of an open clean wound seen 12 hours after the injury:
1. Suturing
2. Debridement and suture
3. Secondary suturing
4. Heal by granulation

Correct answer: 2. Debridement and suture

Explanation: If the blood supply to the wound is adequate and bacterial invasion is absent, wound can be safely closed anytime following proper debridement and irrigation. If these established infection and tissue is of doubtful viability has been left in - situ, then the wound is left open and re-explored after 48 hours. If there is infection, and the doubtful viable tissue is now healthy, the deep tissues can be repaired and the wound is closed. If however there is further necrosis and infection, the wound is again debrided and left open.